All of the following are true about Rett's disease, Except :
1. Regression of milestones occur after 5 months
2. Microcephaly is seen
3. Intellectual disability is present
4. More common in males

Correct answer: 4. More common in males

Explanation: Rett's disease is more common in females.